What is the longest duration of function of primary teeth
1. 6 yr
2. 8 yr
3. 10 yr
4. 12 yr

Correct answer: 3. 10 yr